De Quervain's disease classically affects the -
1. Flexor pollicis longus and brevis
2. Extensor carpi radialis and extensor pollicis longus
3. Abductor pollicis longus and brevis
4. Extensor pollicis brevis and abductor pollicis longus

Correct answer: 4. Extensor pollicis brevis and abductor pollicis longus

Explanation: de Quervain's tenosynovitis results from inflammation of common sheath of abductor pollicis longus and extensor pollicis brevis tendons. Finkelstein's test can be done in this case Reference - Essential ohopaedics-Maheshwari-5th edn-pg no 303